Back pressure porosity can be reduced by:
1. Vacuum investing
2. Proper or increased burnout temperature and proper casting pressure
3. Reduced firing temperature
4. All

Correct answer: 2. Proper or increased burnout temperature and proper casting pressure

Explanation: Back pressure porosity
This is caused by inadequate venting  of the mold. Air is trapped in the mold and is unable to escape. The sprue pattern length should be adjusted so that there is not more than 1/4” thickness of the investment between the bottom of the casting ring and the wax pattern. When the molten metal enters the mold, the air inside is pushed out through the porous investment at the bottom. If the bulk of the investment is too great, the escape of air becomes difficult causing increased pressure in the mold. The gold will then solidify before the mold is completely filled resulting in a porous casting with rounded short margins.
Avoided by

Using adequate casting force.
Use investment of adequate porosity.
Place pattern not more than 6 to 8 mm away from the end of the ring.
Providing vents in large castings.
Proper burnout temperature.

Basic Dental Materials by John Manappallil ed 4 pg370